Acitomycin D interferes with enzyme induction by combining with -
1. TRNA
2. DNA
3. R-RNA
4. Repressor protein

Correct answer: 2. DNA

Explanation: B i.e. DNA